Injury caused by pedestrian in a vehicular accident due to striking to the object on road is known as -
1. Primary injury
2. Secondary injury
3. Acceleration injury
4. Deceleration injury

Correct answer: 2. Secondary injury

Explanation: the synopsis of forensic medicine & toxicology; Dr k.s narayan reddy; 28th edition ;pg.no. 148 . Injury caused by the victim's striking object such as the ground comes under secondary injury .